All of the following are the disadvantages of anaesthetic ether, EXCEPT:
1. Induction is slow
2. Irritant nature of ether increases salivary and bronchial secretions
3. Cautery cannot be used
4. Affects blood pressure and is liable to produce arrhythmias

Correct answer: 4. Affects blood pressure and is liable to produce arrhythmias

Explanation: Ether liberates catecholamines and tends to maintain blood pressure. Cardiac arrythmias occur rarely with ether and there is no sensitization of the myocardium to circulating catecholamines. Ref: KDT, 5th Edition, Pages 338-339; Lee's Synopsis of Anaesthesia, 12th Edition, Pages 168-169;Textbook of Anaesthesia By Aitkinhead, 4th Edition, Page 162; Basics of Anaesthesia E-Book: Expert Consult By Ronald D. Miller, Manuel Pardo, 2011